The cause of the severe hemorrhage in Acute Promyelocytic Leukemia is?
1. Disseminated intravascular coagulation
2. Immune complex deposits on blood vessels
3. Thrombocytopenia
4. Thrombocytosis

Correct answer: 1. Disseminated intravascular coagulation

Explanation: Ans- (a) Disseminated Intravascular coagulationRef: Robbin's pathology 9th ed. /317-18, 612, 663* Acute promyelocytic leukemia (APL) is characterized by more severe hemorrhagic phenomena than those of other acute leukemias.* The hemorrhagic diathesis results from disseminated intravascular coagulation.* About 40 percent of patients with APL have a chromosomal abnormality with translocation from the long arm of 17 to 15 (t 15q;17q)* The patient may present with massive ecchymoses, hematuria, epistaxis, or meno-metrorrhagia.